Kussmaul's sign is classically described in:
1. Restrictive Cardiomyopathy
2. Pericardial Tamponade
3. Constrictive pericarditis
4. Right Ventricular Infarct

Correct answer: 3. Constrictive pericarditis

Explanation: Answer is C (Constrictive pericarditis) Kussmaul's sign is classically described in association with Constrictive Pericarditis. Kussmaul's sign refers to paradoxical elevation of JVP/CVP during inspiration (In healthy persons venous pressure falls during inspiration because pressures in the right heart decrease as intrathoracic pressures fall) The Kussmaul's sign is classically described in association with Constrictive pericarditis. Kussmaul's sign is however also seen in association with Right Ventricular Infarction, Restrictive Cardiomyopathy, Pulmonary Embolism and Advanced Systolic Severe Heart Failure